Pre auricular sulcus is a part of ?
1. Humerus
2. Femur
3. Pelvis
4. Skull

Correct answer: 3. Pelvis

Explanation: Ans. is `c' i.e., Pelvis Preauricular sulcus is used for determination of sex. It is more frequent, broad and deep in female pelvis. There is attachment of anterior sacroiliac ligament.